All are early features of generalized peritonitis except
1. Abdominal tenderness
2. Infrequent bowel sounds
3. Tachy cardia
4. Hippocratic facies

Correct answer: 4. Hippocratic facies

Explanation: Features of diffuse/generalised peritonitisEarlyAbdominal painTendernessGuardingInfrequent bowel soundsTachycardiaFeverLaterAbdominal rigidityAbdominal distensionAbsent bowel soundsCold, clammy extremitiesThready irregular pulseDrawn and anxious face (Hippocratic facies) Ref: Bailey and love 27e pg: 1050